Equilibrium potential of Cl- ions ?
1. + 60 mV
2. +90 mV
3. -90 mV
4. -70 mV

Correct answer: 4. -70 mV

Explanation: Ans. is d i.e., -70 mV